What is the recommended dose of steroids for attaining fetal lung maturity?
1. Inj Betamethasone 12 mg for 2 doses 12 hours apart
2. Inj Betamethasone 12 mg for 2 doses 24 hours apart
3. Inj Dexamethasone 6 mg for 4 doses 24 hours apart
4. Inj Dexamethasone 12 mg for 2 doses 12 hours apart

Correct answer: 2. Inj Betamethasone 12 mg for 2 doses 24 hours apart

Explanation: b. Inj Betamethasone 12mg for 2 doses 24 hours apart(Ref: Nelson's 20/e p 852)Inj Betamethasone 12mg IM 2 doses, 24 hrs apart or Inj Dexamethasone 6mg IM every 12 hrs for 4 doses can be used